The redistribution phenomena is seen in
1. Halothane
2. Ether
3. Thiopentone
4. All

Correct answer: 3. Thiopentone

Explanation: Ref-KDT 6/e p119 Redistribution which describes the reversible transfer of a drug from one location to another within the body. Once a drug enters into systemic circulation by absorption or direct administration, it must be distributed into interstitial and intracellular fluids .